A reluctant child forced to bring suger from a shop spills half of it on the way. This is an example of :
1. Hysteria
2. Passive aggression
3. Disobedience
4. Active aggression

Correct answer: 2. Passive aggression

Explanation: B i.e. Passive aggression